A 32-year lady with uterine fetal death after normal vaginal delivery continues passing of urine from vagina. What is the most probable diagnosis?
1. Bladder rupture
2. Vesicovaginal fistula
3. Urge incontinence
4. Stress incontinence

Correct answer: 2. Vesicovaginal fistula

Explanation: Most probable diagnosis of above case is Vesicovaginal fistula Causes of Vesicovaginal fistula Obstetric causes Obstructed labor Faulty instrumentation Destructive operations Gynecological causes Hysterectomy Wertheim: ureteric dissections Radiation injuries: painful fistula Presentation: Constant dribbling of urine Vulva and thighs are excoriated Splash dysuria UTI Best investigation for VVF: Cystoscopy Other test done in VVF: Three swab test